Salter's pelvic osteotomy is done for treatment of ?
1. CTEV
2. SCFE
3. DDH
4. None

Correct answer: 3. DDH

Explanation: Ans. is 'c' i.e., DDH Treatment of CDH/DDH The aim of treatment in DDH is to achieve and maintain an early concentric reduction and maintain it until the hip becomes clinically stable and a round acetabulum cover it. Treatment plan is according to the age :? 1- 6 months of age :- Pavilk harness and/or Von-rosen splint are used to maintain the reduction. If dislocation persists, closed reduction or traction followed by casting is done. 6 - 18 months of age :- Closed reduction or traction followed by casting. If closed reduction fails, open reduction followed by casting is recommended. 18 months - 3 years :- Open reduction with femoral shortening (if femoral site is involved) or salter asteotomy (if acetabulum is involved). 3 - 8 years :- Open reduction with femoral shortening with or without acetabular reconstructive osteotomy. Acetabular reconstruction procedures are :- Salter 's osteotomy Chiari's pelvic displacement osteotomy Pemberton's pericapsular osteotomy